Which hepatitis virus has worst prognosis in pregnancy :
1. HBV
2. HCV
3. HEV
4. HAV

Correct answer: 3. HEV

Explanation: Answer is C (HEV)